Capnography basically monitors -
1. Central venous pressure
2. Blood pressure during anesthesia
3. Concentration of exhaled CO2
4. Concentration of inhaled O2

Correct answer: 3. Concentration of exhaled CO2

Explanation: Capnography is the continuous measurement of end-tidal CO2 (ETCO2), i.e. the CO2 in expired air.